Which investigation is used to assess the resectability of CA Pancres?
1. Contrast enhanced CT Scan
2. MRI abdomen
3. USG
4. ERCP

Correct answer: 1. Contrast enhanced CT Scan

Explanation: Ans. is 'a' i.e., Contrast enhanced CT Scan Investigations done in Dancreatic cancera. USGd. Endoscopic U/Sb. CT scanc. ERCPe. Angiographyf. Barium studies - barium meal & hypotonic duodenographyo Contrast enhanced CT scan is the mv. of choice